The thickness of split thickness skin graft used in maxitlofacial surgery ranges from
1. 2 to 3 mm
2. 1 to 2 mm
3. 0.3 to 0.5 mm
4. 1.3 to 1.5 mm

Correct answer: 3. 0.3 to 0.5 mm